MC HPV Type which causes cervical cancer -
1. 6
2. 11
3. 16
4. 18

Correct answer: 3. 16

Explanation: Ans. is 'c' i.e., 16 HPV TypeOncogenic PotentialComment6,11LowAnogenital warts31, 33, 35,51,52IntermediateCIN 1,2, 316, 18, 45, 56HighCIN 2, 3 Invasive CA* HPV-16 is the most common HPV seen in invasive CA and CIN 213 and is found in 50% cases.* HPV-16 is not very specific and is also the most common HPV type in women with normal cytology.* HPV-18 is more specific than HPV-16 for invasive tumors.